In which of the following carcinomas of breast, loss of E-cadherin plays a vital role in pathogenesis?
1. Paget's disease
2. Ductal carcinoma
3. Lobular carcinoma
4. Medullary carcinoma

Correct answer: 3. Lobular carcinoma

Explanation: The main pathogenesis underlying Lobular carcinoma is accquired loss of the tumor suppressive adhesion protein E-cadherin, also called as CDH-1.